Haemolytic disease of newborn is an example of
1. Type 3 hypersensitivity reaction
2. Type2 hypersensitivity reaction
3. Arthur reaction
4. Type 4 hypersensitivity reactions

Correct answer: 2. Type2 hypersensitivity reaction

Explanation: Ref Robbins 7/e p211,9/e p206 Autoimmune hemolytic Anemia Red cell membrane proteins (Rh blood group antigens, I antigen) Opsonization and phagocytosis of erythrocytes Hemolysis, anemia Autoimmune thrombocytopenic purpura thrombocytopenic Platelet membrane proteins (GpIIb/IIIa integrin) Opsonization and phagocytosis of platelets..leads to bleeding..type 2 hypersensitivity reaction